All are true about measles except-
1. Incubation period is 10-14 days
2. Secondary attack rate is 30-40%
3. Sub cutaneous vaccine is available
4. Vaccine is live attenuated

Correct answer: 2. Secondary attack rate is 30-40%

Explanation: MEASLES:- An acute highly infectious disease of childhood caused by a specific virus of group myxovirus. Clinically characterised by fever and catarrhal symptoms of the upper respiratory tract( coryza,cough), followed by a typical rash. Incubation period-10 days from exposure to onset of fever and 14 days of appearance of rash. Secondary attack rate-infection confers life long immunity as there is only one antigenic type. Vaccine- live attenuated subcutaneous vaccine. {Reference: park's textbook of preventive and social medicine, 23rd edition, pg no.149}